Dyskeratosis is seen in:
1. Pemphigus vulgaris
2. Bullous Pemphigoid
3. Darier's disease
4. Hailey-Hailey disease

Correct answer: 3. Darier's disease

Explanation: Darier's disease is characterized by defect in Ca+2 pump that is necessary for desmosome function, due to mutation in ATP2A2 gene.
Both HHD and Darier's disease are characterized by acantholysis and suprabasal blister, but dysteratosis (premature keratinization in epidermis) is seen classically with Darier's disease.